Test of detecting damage to cochlea are all EXCEPT:
1. Caloric test
2. Weber test
3. Rinnies test
4. ABC test

Correct answer: 1. Caloric test

Explanation: Ans. a (Caloric test). (Ref. Diseases of ENT by PL Dhingra, / 3rd/pg.55)TESTS FOR ASSESSING VESTIBULAR FUNCTION# Caloric test: COWS (normally), cold opposite and warm same, i.e. cold water produces nystagmus to opposite and warm to same side.- Modified kobrak- Fitzgerald-Hallpike (bithermal caloric)- Cold air caloric test# Electronystagmography# Optokinetic test# Rotation test# Galvanic test# Posturography